Antibodies against phospholipase A2 receptors are seen in
1. Membranous GN
2. Membrano proliferative GN
3. Minimal change disease
4. Focal segmental glomerulosclerosis

Correct answer: 1. Membranous GN

Explanation: Answer- A. Membranous GNMembranous glomerulonephritis, also known as membranous nephropathy, is a slowly progressive disease of the kidney.Primary (also called idiopathic) membranous nephropathy is considered to be an autoimmune disease linked to certain HLA alleles such as HLA-DQA1 and caused in most cases by antibodies to a renal autoantigen. In many adult cases the autoantigen is the phospholipase A2 receptor.